Not a surgical landmark for parotid surgery
1. Inferior belly of omohyoid
2. Tragal pointer
3. Digastric posterior belly
4. Dissecting from peripheral branches

Correct answer: 1. Inferior belly of omohyoid

Explanation: surgical landmark of parotid surgery are : Tragal pointer Digastric posterior belly Styloid process tympansmastoid suture ref : hazarika 4th ed